Which of the following Vitamins has been evaluated for the treatment of Fish odour syndrome:
1. Ribofalvin
2. Thiamine
3. Biotin
4. Niacin

Correct answer: 1. Ribofalvin

Explanation: Trimethylaminuria (TMAU) also known as fish odour syndrome or startle Fish syndrome, is caused by defects in a protein called Flavin-containing monooxygenase 3 (FMO3). Riboflavin, a precursor of the FAD prosthetic group of FMOs may help maximize residual FMO3 enzyme activity in patients with Trimethylaminuria, allowing further breakdown of trimethylamine. Trimethylaminuria (TMAU): Fish odour syndrome or startle Fish syndrome. Trimethylaminuria (TMAU) is an inherited metabolic disorder that is characterised by an offensive body odour that smells like rotting fish. This odour is due to the excessive excretion of a protein called Trimethylamine (TMA) in the urine, sweat and breath. TMAU, also known as fish odour syndrome or fish malodour syndrome is caused by defects in a protein called Flavin-Containing Monooxygenase 3 (FMO 3). The FMO3 protein is an enzyme produced by the liver that functions mainly to break down nitrogen-containing compounds. TMA is consumed through the diet and is normally broken down through a process called N-oygenation. the abnormal function of FMO3 results in the body's inability to breakdown TMA from food sources, especially choline-rich foods, such as milk, eggs and peanuts. When this process doesnot work properly, TMA builds up and is released in the person's sweat, urine and breath. This causes the characteristic smell associated with TMAU. The offensive odour associated with TMAU can be minimized with special diets low in trimethylamine (TMA) or its precursor . Avoiding or minimizing intake of foods that contain choline, nitrogen , and sulphur may reduce the severity of body odour given off. Riboflavin a precursor of the FAD prosthetic group of FMOs, may help maximize residual FMO3 enzyme activity in patients with Trimethylaminuria, allowing further breakdown of trimethylamine. Ref: NORD.